Which of the following antihypertensive drug has a central sympatholytic action?
1. levodopa
2. carbidopa
3. a methyl dopa
4. hydralazine

Correct answer: 3. a methyl dopa

Explanation: Ans. is 'c' i.e., a methyl dopa Sympatholytic antihypertensivesA) Centrally acting sympatholyticsi) Clonidineiv) Moxonidinii) Methyldopav) Guanabenziii) Rilmenidinevi) GuanfacineB) Peripharally acting sympathalytics1) Adrenoreceptor Antagonistsi) Beta blockersii) a-blockers2) Adrenergic neuron blocking agentsi) Reserpineii) Guanethidine